The mandibular molars generally have
1. Two roots & two canals
2. Two roots & three canals
3. Three toots & two canals
4. None of the above

Correct answer: 2. Two roots & three canals